Gallstones may be complicated by which among the following -a) Pancreatitisb) Choledocholithiasisc) Acute cholecystitisd) Carcinoma stomache) Carcinoma pancreas
1. abc
2. bc
3. acd
4. bcd

Correct answer: 1. abc